Which cells are absent in the cerebellar cortex
1. Purkinje cells
2. Bipolar cells
3. Granule cells
4. Golgi cells

Correct answer: 2. Bipolar cells

Explanation: There are five types of cells in the cerebellum Purkinje cells, Stellate cells, Golgi cells, Basket cells, Granule cells Ref : Ganong 25th ed/page 248